Local anaesthetic with prolonged action ?
1. Procaine
2. Cocaine
3. Lidocaine
4. Dibucaine

Correct answer: 4. Dibucaine

Explanation: Ans. is 'd' i.e., Dibuca Dibucaine is the longest acting local anaesthetic Chlorprocaine is the shortest acting local anaesthetic Decreasing order of duration : - Dibucaine > Bupivacine = Tetracaine = Ropivacaine = Etidocaine > Prilocaine = Lignocaine = Mepivacaine = Cocaine > Procaine > Chlorprocaine .